Pharyngoconjunctival fever is caused by -
1. Adenovirus 3 and 7
2. Adenovirus 11, 21
3. Adenovirus 40, 41
4. Adenovirus 8, 19

Correct answer: 1. Adenovirus 3 and 7

Explanation: Pharyngoconjunctival fever is caused most commonly by serotypes 3 and 7, but serotypes 2, 4 and 14

also, have been documented as etiologic agents.

 Ocular infections caused by Adenovirus -

i. Epidemic keratoconjunctivitis → Serotypes 8, 19, 37
ii. Follicular conjunctivitis → Serotypes 3,7
iii. Pharyngoconjunctival fever - Serotypes 3, 7
Adeno Virus

 Non-enveloped, DNA (ds DNA) Virus
 Has characteristic morphology consisting of an icosahedral shell composed of 20 equilateral triangular faces and 12 vertices → space vehicle appearance.
 Human adenovirus grows only in tissue culture of human origins, such as human embryonic kidney, HeLa or HEP-2.
The cytopathic effect in tissue culture → cell rounding and aggregation into grape-like clusters.
 Adenovirus has been used as a vector for gene therapy.
 Adenovirus cause infections of the respiratory tract and eyes and less often of the intestine and urinary tract.
 Most frequently affect infants and children
 Clinical manifestations

□ Most common manifestation in children is an acute upper respiratory tract infection with prominent rhinitis.
□ Most common manifestation in an adult is ARDS